Most common cause of secondary PPH is -
1. Infection
2. Retained products of conception
3. Coagulation defects
4. Estrogen therapy for lactation suppression

Correct answer: 2. Retained products of conception

Explanation: Ans. is 'b' i.e., Retained products of conception Secondary PPHo Bleeding usually occurs between 8th to 14th day of deliveryo Causes of late PPH :# Retained bits of cotyledon or membranes (M.C.)# Infection and separation of slough over a deep cervico - vaginal laceration.# Endometritis and subinvolution of the placental site.o Management:# Replacement of blood loss# USG to rule out retained products of conception.# Dilatation and curettage to remove retained products.# Laceration with bleeding vessel - Hemostatic sutures.# Secondary hemorrhage following caesarean section - Laparotomy with SOS Internal iliac artery ligation sos hysterectomy.